The hymen after delivery is called
1. Cribriform hymen
2. Vertical hymen
3. Imperforate hymen
4. Carunculae hymenales

Correct answer: 4. Carunculae hymenales

Explanation: After delivery, only the remnants of hymen will be seen at the rim called carunculae hymenales or myrtiformes. Ref: FORENSIC MEDICINE AND TOXICOLOGY Dr PC IGNATIUS THIRD EDITION PAGE 327